Reed sternberg cells are found in?
1. Hodkin's disease
2. Sickle cell anaemia
3. Thalassemia
4. CML

Correct answer: 1. Hodkin's disease

Explanation: Ans. is 'a' i.e., Hodgkin's disease o Pathologically, Hodgkins disease is distinguished from other lymphomas by the presence of Reed Sternberg cells. o Reed sternberg cells are not absolutely specific for Hodgkins disease and have also been noticed in cases of infectious mononucleosis and other malignancies including lymphoma, carcinoma and sarcomas. o Therefore, Reed-Sternberg, cells are not sufficient to establish the diagnosis of Hodgkins disease. o The diagnosis of hodgkins' lymphoma requires the presence of both the characteristic Reed-Sternberg cells and the characteristics cellular environment comprising of lymphocytes, histiocytes, granulocytes, eosinophils and plasma cells. o One more method which can be useful in the diagnosis is invio in for CD-15 and CD-30. The neoplastic cells of Hodgkins disease, both classic Reed-sternberg cell and Reed-sterberg variants, tend to stain positively with these antibodies. o In addition R.S. cells of lymphocytic predominant cells are also positive for CD20. o Atypical cells can be seen in some types of Hodgkins disease, but they are not diagnostic.